Loss of feel of size & shape of a object is seen in lesion ofa) Tractus solitariusb)  Tractus cuneatusc) Lateral spinothalamic tract d) Cerebral cortex
1. bc
2. ad
3. ab
4. bd

Correct answer: 4. bd

Explanation: Astereognosis- Loss of ability to recognize size and shape of an object.
Seen in- lesion of somatosensory cortex, lesion of tractus cuneatus, lesion of tractus gracilis.
Somatosensory cortex lesion- proprioception and tactile sensations are lost while pain and temperature sensations are preserved. 
Tractus cuneatus- formed by fasciculus cuneatus (spinal cord) and nucleus cuneatus (medulla). Pass through lateral portion of dorsal column. Carries sensations of dorsal column- proprioception and tactile sensations from upper part of the body.
Tractus gracilis- formed by fasciculus gracilis (spinal cord) and nucleus gracilis (medulla). Pass through medial portion of dorsal column. Carries sensations of dorsal column- proprioception and tactile sensations from lower part of the body.